Which of the following drugs inhibits plasminogen activation?
1. Aspirin
2. Tranexaemic acid
3. Alteplase
4. Streptokinase

Correct answer: 2. Tranexaemic acid

Explanation: Epsilon amino caproic acid (EACA) and tranexamic acid are specific antidotes for overdose of fibrinolytic agents. These are called as anti-fibrinolytic drugs